Post-translational modification of hydroxylases is mediated by
1. Vitamin K
2. Vitamin E
3. Vitamin C
4. Vitamin D

Correct answer: 3. Vitamin C

Explanation: Ascorbic acid has specific roles in the copper-containing hydroxylases and the a-ketoglutarate-linked iron-containing hydroxylases. Dopamine b-hydroxylase is a copper-containing enzyme involved in the synthesis of the catecholamines (norepinephrine and epinephrine), from tyrosine in the adrenal medulla and central nervous system. During hydroxylation the Cu+ is oxidized to Cu2+; reduction back to Cu+ specifically requires ascorbate, which is oxidized to monodehydroascorbate. Reference: Harper; 30th edition; Page no: 561